Dawson disease is -
1. SSPE
2. Acute disseminated encephalomyelitis
3. Neuromyelitis optica
4. Paralysis agitans

Correct answer: 1. SSPE

Explanation: Ans. is 'a' i.e., SSPE o SSPE is also known as Dawson encephalitis and myelitis.